Causative agent of relapsing fever is?
1. Borrelia recurrentis
2. Bordetella pertussis
3. Bacillus anthracis
4. Bartonella henselae

Correct answer: 1. Borrelia recurrentis

Explanation: ANSWER: (A) Borrelia recurrentisREF: Jawetz 24th ed chapter 25, Medical entomology for students by 4th edition Page 220 See details of TICK-BORNE RELAPSING FEVER in Community Medicine December 2010Epidemic relapsing feverLouseBorrelia recurrentisEndemic relapsing feverSoft tick (genus Ornithodoros)Borrelia duttoni Borrelia hermsii Borrelia parkeri Borrelia turicatae